During an epidemic of hepatitis; fulminant hepatic failure is seen in:
1. Malnourished child
2. Pregnant female
3. Old age
4. Child <15 year of age.

Correct answer: 2. Pregnant female

Explanation: Fulminant hepatitis is hepatitis E in upto 20% of cases in pregnant women. The most feared complication of viral hepatitis is fulminant hepatitis Most common cause of acute liver failure is viral Infection Fulminant hepatitis is primarily seen in hepatitis B and D, as well as hepatitis E, but rare fulminant cases of hepatitis A occur primarily in older adults and in persons with underlying chronic liver disease